During the process of accommodation, there is
1. an increase principally in the posterior curvature of the lens
2. an increase principally in the anterior curvature of the lens
3. relaxation of ciliary muscle
4. decrease in the synthesis of rhodopsin

Correct answer: 2. an increase principally in the anterior curvature of the lens

Explanation: (B) an increase principally in the anterior curvature of the lens > The lens is flexible and its curvature is controlled by ciliary muscles through the zonules. By changing the curvature of the lens, one can focus the eye on objects at different distances from it.> This process is called accommodation. At short focal distance the ciliary muscle contracts, zonule fibers loosen, and the lens thickens and its anterior curvature increased, resulting in a rounder shape and thus high refractive power.> Changing focus to an object at a greater distance requires the relaxation of the ciliary muscle, which in turn increases the tension on the zonules, flattening the lens by decreasing its curvature and thus increasing the focal distance.